Which of the following is not a favourable prognostic marker in pediatric acute lymphoblastic leukemia (ALL)?
1. Hypodiploidy
2. 2-10 years of age
3. Low WBC count
4. t(12;21)

Correct answer: 1. Hypodiploidy

Explanation: Favourable prognostic markers in pediatric ALL include age between 2 and 10 years a low white cell count hyperdiploidy trisomy of chromosomes 4, 7, and 10 the presence of a t(12;21) Several factors are associated with a worse prognosis: age younger than 2 years, largely because of the strong association of infantile ALL with translocations involving the MLL gene presentation in adolescence or adulthood peripheral blood blast counts greater than 100,000, which probably reflects a high tumor burden.